The extended sickness benefit is given for?
1. 309 days
2. 365 days
3. 409 days
4. 2 years

Correct answer: 4. 2 years

Explanation: In addition to 91 days of sickness benefit, insured persons suffering from certain long term diseases are entitled to extended sickness benefit for a maximum period of 2 years. (REF. PARK'S TEXTBOOK OF PREVENTIVE AND SOCIAL MEDICAL 21ST EDITION. PAGE NO - 757)